WHO global Target for prevention and control of Non-communicable Disease by 2025, is to decrease Hypertension by
1. 25%
2. 50%
3. 60%
4. 40%

Correct answer: 1. 25%

Explanation: (A) 25%[?]HYPERTENSION:oHypertension is a chronic condition of concern due to its role in the causation of coronary heart disease, stroke & other vascular complications.oIt is the commonest cardiovascular disorder, posing a major public health challenge to population in socio-economic & epidemiological transition.oIt is one of the major risk factors for cardiovascular mortality, which accounts for 20-50 per cent of all deaths.oThe WHO Assembly endorsed the Global Action Plan for the Prevention & Control Provides[?]Magnitude of the ProblemoAlthough blood pressure is easily measured, it had taken several decades to realize that arterial hypertension is a frequent, worldwide health disorder.oRule of Halves: Hypertension is an 'iceberg' disease. It became evident in the early 1970s that only about half of the hypertensive subjects in the general population of most developed countries were aware of the condition, only about half those aware of the problem were being treated, and only about half of those treated were considered adequately treated.[?]Prevalence in India:oAccording to the survey report, the prevalence of hypertension was varying from 17 to 21 per cent in all the states with marginal rural-urban differences.oRisk factors for Hypertension:-Non-modifiable risk factors: Age, Sex, Genetic Factors, Ethnicity-Modifiable risk factors: Obesity, Salt intake, Saturated fat, Dietary fiber, alcohol, Heart rate, Physical activity, Socio-economic status, Other factors.oPrevention of Hypertension:-Primary Prevention: Population strategy, high-risk strategy-Secondary Prevention: Early case detection, Treatment, Patient compliance.The Global Non-communicable Diseases (NCD) targets to be attained in 20251. A 25% relative reduction in risk of Premature mortality from cardiovascular diseases, cancer, diabetes, or chronic respiratory diseases.2. At least 10% relative reduction in the harmful use of alcohol, as appropriate, within the national context.3. A 10% relative reduction in prevalence of insufficient physical activity.4. A 30% relative reduction in mean population intake of salt/sodium.5. A 30% relative reduction in prevalence of tobacco use in persons aged 15+ years6. A 25% relative reduction in the prevalence of raised blood pressure or contain the prevalence of raised blood pressure, according to national circumstances.7. Halt the rise in diabetes & obesity.8. At least 50% of eligible people receive drug therapy and counseling (including glycemic control) to prevent heart attacks and strokes.9. An 80% availability of the affordable basic technologies & essential medicines, including generics, required to treat major non-communicable diseases in both public and private facilities.